Sexual infantilism is associated with :
1. Pituitary tumous
2. Gonadal aplasia
3. Dwarfism
4. All of the above

Correct answer: 4. All of the above

Explanation: All of the above